Glycogen storage diseases include the following
1. Fabry’s disease
2. Fragile syndrome
3. Von Gierke’s disease
4. Krabbe’s disease

Correct answer: 3. Von Gierke’s disease